Retromammary abscess arises from?
1. Tuberculous rib
2. Infected hematoma
3. Chronic empyema
4. All of the above

Correct answer: 4. All of the above

Explanation: Ans. is 'd' i.e. All of the above